All are indication of evoked potential monitoring except:-
1. Cerebral tumor resection
2. Brachial plexus repair
3. Mastoid surgery
4. Spinal fusion and instrumentation

Correct answer: 3. Mastoid surgery

Explanation: Indications for intraoperative monitoring of evoked potential include surgical procedures with possible neurological insult. 1. Spinal fusion & instrumentation 2. Spine & spinal cord tumor resection 3. Brachial plexus repair 4. Thoracoabdominal aortic aneurysm repair 5. It also facilitate probe localization during stereotactic surgery